INH induced peripheral neuropathy results from a deficiency of vitamin :
1. B1
2. B2
3. B6
4. B12

Correct answer: 3. B6

Explanation: Pyridoxine (vitamin B6) is administered for the prevention as well as treatment of isoniazid-induced peripheral neuropathy.